Full thickness graft can be obtained from all of the following except
1. Axilla
2. Groin
3. Supraclavicular area
4. Elbow

Correct answer: 1. Axilla

Explanation: .donor sites for full thickness graft is eyelids postauricular skin supraclavicular skin antecubital skin inguinalarea genital area submammary area skin subgluteal skin